In gallbladder mucocoele where is the stone usually impacted
1. Hartmann's pouch
2. Calot's triangle
3. CBD
4. Duodenum

Correct answer: 1. Hartmann's pouch